HIV affects CD4 cells by which protein
1. Gp 120
2. GP 41
3. CCR5
4. CXCR4

Correct answer: 1. Gp 120

Explanation: Ref Robbins 8/e p246-247 HIV 1 uses CD 4 to gain entry into T cells and achieve this through it's viral envelope protein known as gp120